Ecthyma gangrenosum seen in?
1. Pseudomonas septicemia
2. Lepromatous leprosy
3. Ulcerative colitis
4. All of the above

Correct answer: 1. Pseudomonas septicemia

Explanation: Ecthyma Deeper variant of impetigo Indurated lesion with necrotic crust=on removal=forms ulcer Three types Ecthyma gangrenosum - Pseudomonas aeruginosa Ecthyma pyogenicum - Strep, Staph aureus Ecthyma contagiosum / Contagious pustular disease / Orf disease - Parapox virus/ORF virus. It is zoonotic viral condition which spreads sheep goat. Pseudomonas septicaemia most commonly occurs in the severely compromised host.